Which drug is specific MAO - B inhibitor?
1. Seleginile
2. Phenelzine
3. Tranylcypromine
4. Haloperidol

Correct answer: 1. Seleginile

Explanation: Ans. is. a'i.e., SelegilineNonselective = Tranylcypromine,phenelzine, isocarboxazid.Selective MAO-A = Moclobemide, clorgyline (used in depression).Selective MAO-B = Selegiline (used in parkinsonism).